True about Hypospadias is ?
1. Meatal stenosis
2. Dorsal hood
3. Proximal opening of meatus
4. All

Correct answer: 4. All

Explanation: Ans. is 'a' i.e. Meatal stenosis; 'b' i.e. Dorsal hood; 'c' i.e. Proximal opening of meatus